Graves disease is an example of which type of hypersensitivity -
1. Type-1
2. Type-II
3. Type-Ill
4. Type-IV

Correct answer: 2. Type-II

Explanation: Ans. is 'b' i.e., Type-II o Type II hypersensitivity may involve three different antibody -dependent mechanisms.Opsonization - Complement and Fc receptor mediated phagocytosis.Transfusion reactionsAutoimmune hemolytic anemia'agranuloeytosis/ thrombocytopenia.Erythroblastosis fetalis.Complement and Fc - receptor mediated inflammationGlomerulonephritisVascular rejectionAntibody mediated cellular dysfunctionUpregulation -Graves diseaseDown regulation -Myasthenia graviso Sometimes, antibody causes stimulation instead of damage for example in Grave's disease long acting thyroid stimulator (LATS), an antibody against some determinant on thyroid cells, stimulates excessive secretion of thyroid hormone. Such antibody mediated cell stimulation has also been called type V hypersensitivity.